Locally aggressive odontogenic cysts with high chance of recurrence
1. Periapical cyst
2. Dentigerous cyst
3. Odontogenic keratocytes
4. Eruption cyst

Correct answer: 3. Odontogenic keratocytes

Explanation: Answer-C. Odontogenic keratocytesJaw cysts can be classified on the basis oforigin ofthe cyst epithelium:Odontogenic cysts develop from redundant epithelium left behind in the jaws as a result of tooth development.Developmental rysts arise at lines of fusionPseudocysts are nonepithelial and lined only by connective tissueKeratocysts have aggressive biologic behavior and a high incidence ofrecurrenceOdontogenic cystsRadicular cysls - most comn on type of jaw cystDentigerous cyst - 2nd most common type of jaw cystEruption cystOdontogenic keratocystsGingival (Alveolar) cyst of newbornLateral Periodontal cystsBotyroid odontogenic cystGlandular odontogEURnic cystCalcifying odontogenic cysts (Gorlin cysts)